A 40-year-old man sustained injuries to the liver, gallbladder, small intestine, and colon from gunshot wounds. At the time of surgery, a cholecystostomy was placed in the injured gallbladder to expedite operative management. Four weeks later, the patient is doing well. Which is the next step in management?
1. Remove the cholecystostomy tube.
2. Perform a cholangiogram through the cholecystostomy tube.
3. Perform a cholecystectomy.
4. Perform a choledochoduodenostomy.

Correct answer: 2. Perform a cholangiogram through the cholecystostomy tube.

Explanation: A cholecystocholangiogram must be performed to ensure that the gallbladder is not leaking, and that there is free flow of dye in the duodenum if no abnormality is detected on the cholangiogram, the cholecystomy tube is removed. The patient should undergo follow-up gallbladder studies several months later, but routine removal of the gallbladder is not necessary.